Patient perceives a stimulus from one modality and perceives hallucination in same modality
1. functional hallucination
2. reflex hallucinations
3. extra campine hallucination
4. Auditory hallucination

Correct answer: 1. functional hallucination

Explanation: FUNCTIONAL HALLUCINATIONS Patient perceives a stimulus from one modality and perceives hallucination in same modality Ex. Whenever the patient hears water flowing from tap he hears auditory hallucinations REFLEX HALLUCINATION: Patient perceives a stimulus from one modality and perceives hallucination in another modality Ex. Whenever the patient sees blue color he hears auditory hallucinations EXTRACAMPINE AUDITORY HALLUCINATIONS Patient sits in Chennai and says that he could see things that are happening in Delhi Patient is perceiving things that is outside his normal visual ability Ref.kaplon and Sadock, synopsis of Psychiatry, 11 th edition, Pg. No,195